A 21 year old medical student and his batchmate and girlfriend came to psychiatry outpatient for evaluation. The girlfriend of the patient, said that he is very boring and its getting difficult for her to continue in the relationship. She reported that 'He is way too serious about studies '. He goes to every single clinical posting and also asks the postgraduates to take attendance. After the college, he routinely goes to library, where he stays till late night and has started reading Harrison's medicine. A couple of days back he got into argument with a pharmacology professor about drug of choice of a particular disorder and argued with the professor in front of entire batch. The patient on the other hand reported, I don't understand why is she upset with me. I am doing the right thing and i don't understand why other students, teachers and principal cannot be as dedicated as me. What is the diagnosis?
1. Borderline Personality disorder
2. Anankastic personality disorder
3. Histrionic personality disorder
4. Narcissistic Personality disorder

Correct answer: 2. Anankastic personality disorder

Explanation: Preoccupation with rules and regulations, excessive involvement in professional life , minimal involvement in leisure activities and inflexibility are all features of obsessive compulsive personality disorder( Anankastic PD) It is a type of cluster PD .( Other being - Dependent PD and Avoidant(anxious PD). These person are very formal and have no sense of humor and have perfectionism which ultimately slows them down. REMEMBER- obsessions and compulsions are features of OCD and not OCPD.